Hardness of water is contributed by following salts except -
1. Calcium gluconate
2. Magnesium chloride
3. Calcium sulfate
4. Magnisium bicarbonate

Correct answer: 1. Calcium gluconate

Explanation: The hardness of water is caused mainly by four dissolved compounds.These are Calcium bicarbonate Magnesium bicarbonate Calcium sulphate Magnesium sulphate Presence of any of these salt produces hardness (refer pgno:727 park 23rd edition)